Confabulation means
1. Misinterpretation of stimulus by any of the special sense organs
2. Perception in the absence of a stimulus
3. Making stories to fill in the gaps caused by memory loss
4. Conversion with imaginary person

Correct answer: 3. Making stories to fill in the gaps caused by memory loss

Explanation: Striking feature of Korsakoff's psychosis is tendency to confabulate, which has been defined as falsification of memory in clear consciousness. It probably results from an inability to distinguish the temporal sequence of past events. The choice A means illusion and B and D means hallucination. Confabulation: As recent memory is more severely disturbed, very remote events are better remembered, especially in the initial stages. Recent memory impairment also leads to disorientation in time and place. To fill in the memory gaps, patient uses imaginary events in the early phase of illness (confabulation). With the progression of the disease, confabulation disappears.